The most common organism responsible for gas gangrene is
1. Clostridium perfringens
2. Clostridium difficile
3. Clostridium tetani
4. Clostridium septicum

Correct answer: 1. Clostridium perfringens

Explanation: C.perfringens is the predominant agent causing gas gangrene. It may occur as the sole causative agent but is more commonly seen in association with other clostridia as well as non-clostridial anaerobes. More commonly all clostridial infections do not result in gas gangrene. More commonly, they lead only to wound contamination or anaerobic cellulitis. It is the only when muscle tissue is invaded that gas gangrene results. Reference: Textbook of Microbiology; Anathanarayan and paniker's; 10th edition; Page no: 259